Which of the following is type III hypersensitivity reaction:
1. Prausnitz-kustner reaction
2. Contact dermatitis
3. Arthus reaction
4. Rh incompatibility

Correct answer: 3. Arthus reaction

Explanation: Ans. C: Arthus reaction